Metastatic calcification predominantly affects each of the following Except
1. Lungs
2. Kidney
3. Pancreas
4. Media of arteries

Correct answer: 3. Pancreas

Explanation: The deposition of calcium salts in otherwise normal tissues is known as metastatic calcification, and it almost always results from hypercalcemia secondary to some disturbance in calcium metabolism.Metastatic calcification may occur widely throughout the body but principally affects the interstitial tissues of the gastric mucosa, kidneys, lungs, systemic arteries, and pulmonary veins. Although quite different in location, all of these tissues excrete acid and therefore have an internal alkaline compartment that predisposes them to metastatic calcification.Ref: Robbins; 9th edition; Page no: 65